Trachea is lined by
1. Simple columnar
2. Pseudostratified columnar
3. Simple cuboidal
4. Stratified squamous, non-keratinized

Correct answer: 2. Pseudostratified columnar

Explanation: Ciliated columnar epithelium is seen in trachea and bronchus Inderbir Singh's textbook of human Histology Seventh edition Pg no 45